A patient with HIV is on therapy with protease inhibitors. He presents with limitation of abduction and internal rotation of the hip. The most probable diagnosis is:
1. Tuberculosis of hip joint
2. Avascular necrosis (AVN) of femoral head
3. Secondary osteoarthritis of hip
4. Septic arthritis of hip

Correct answer: 2. Avascular necrosis (AVN) of femoral head

Explanation: Limitation of abduction and internal rotation of hip is often seen in avascular necrosis of femoral head or Legg-Calve-Perthes disease. Hypertriglyceridemia is a well known risk factor of avascular necrosis of femoral head (AVN). It has been suggested that treatment with protease inhibitors increase triglyceride levels, thereby increasing risk of avascular necrosis of femoral head. Ref: Current Diagnosis and Treatment of Pain (CDTP), 2006, Page 305; Antiretrol Therapy By Clercq, 2001, Page 167; Apley's System of Orthopaedics and Fractures By Louis Solomon, 9th Edition, Chapter 19, The Hip, Pages 511-15